In peripheral tissues which of the following contains substance P:
1. Plasma cell
2. Mast cell
3. Nerve terminal
4. Vascular endothelium

Correct answer: 3. Nerve terminal